Gower sign is classical of one of the following condition –
1. Congenital myopathy
2. Werdig–Hoffman disease
3. Duchenne muscular dystrophy
4. Guillain–Barre syndrome

Correct answer: 3. Duchenne muscular dystrophy